All of the following are causes of subcortical dementia except
1. Alzheimer's disease
2. Parkinson's disease
3. HIV associated dementia
4. Huntington's chorea

Correct answer: 1. Alzheimer's disease

Explanation: Cortical Dementia's * Early Presentation of 4A's (Amnesia, Apraxia, Aphasia, Agnosia, Acalculia) Seen in: Alzheimer Disease Creutzfeldt Jacob Disease Picks disease & other Frontotemporal Dementia. Sub-cortical Dementia Involves Sub-cortical Structures (Like Basal Ganglia, Cerebellum, Brain Stem Nuclei) first * Present with motor symptoms (e.g. Tics, Chorea, Dysarthria) Executive function disturbance and BPSD First Seen in : Parkinson's D/s Wilson's D/s Huntington's D/s, Progressive Supra-nuclear palsy Mixed presentation - Vascular Dementia, Dementia with Lewy Body